Drug causing malignant hyperthermia:
1. Cisatracurium
2. Suxamethonium
3. Propofol
4. Thiopentone

Correct answer: 2. Suxamethonium

Explanation: Ans. b. Suxamethonium (Ref: Milier's 7/e p1180-1189, Lee 13/e p352-354, Morgan 4/e p945-950)Suxamethonium is the drug most commonly responsible for causing malignant hyperthermia.